Postmortem rigidity first starts in:
1. Eyelids
2. Neck
3. Upper limbs
4. Lower limbs

Correct answer: 1. Eyelids

Explanation: Eyelids